Which of the following is the most common solid tumor in a child?
1. Neuroblastoma
2. Nephroblastoma
3. Mesoblastic nephroma
4. Rhabdomyosarcoma

Correct answer: 1. Neuroblastoma

Explanation: Ans. is 'a' Neuroblastoma 'Neuroblastoma is the most frequently diagnosed neoplam in infants accounting for 28-39% of neonatal malignancies'It has following pecularities :* Most common abdominal cancer of childhood.* Most common cancer of infancy.* Most common extracranial solid tumor of childhood (most common solid tumor of childhood is brain tumor).